Which statement is false about allosteric regulation?
1. It is usually the mode of regulation for the last step in reaction pathways
2. Cellular response is faster with allosteric control than by controlling enzyme concentration in the cell
3. The regulation usually is important to the conservation of energy and materials in cells
4. Allosteric modulators bind non-covalently at sites other than the active site and induce conformational changes in the enzyme

Correct answer: 1. It is usually the mode of regulation for the last step in reaction pathways

Explanation: Allosteric regulation is usually the mode of regulation for the first step in reaction pathways. Allosteric modulators can be activators or inhibitors.They bind non-covalently at allosteric/regulatory site. By binding at allosteric site, they induce changes in the active site, where substrate binds and they modulate the binding of substrate. Binding of dissociable ligands (allosteric regulation) achieve regulation of enzymic activity within seconds